Bluish discoloration of gastric mucosa seen in which poisoning?
1. Mercury
2. Cadmium
3. Amytal sodium
4. Arsenic

Correct answer: 3. Amytal sodium

Explanation: POISONS STOMACH MUCOSA Carbolic acid Leathery mucosa Sulphuric acid Black necrotic stomach mucosa Arsenic Red velvety Mucosa Mercury Slate gray Mucosa HNO3 Yellowish Sodium amytal,Copper sulfate Blue